Fever blisters can occur due to -
1. HHV 6
2. Varicella
3. Primary HSV-1 infection
4. Reactivation of HSV-1

Correct answer: 4. Reactivation of HSV-1